'Gastrocolic reflex' is related with?
1. GERD
2. Mass peristalsis
3. Duodenual reflex
4. Rectoanal refelx

Correct answer: 2. Mass peristalsis

Explanation: Mass peristalsis Gastrocolic reflex: Facilitates appearance of mass movements after a meal. Ex., For gastrocolic reflex - Seen in early infancy.